tRNA met would recognize
1. AUG
2. UGC
3. GUG
4. GCU

Correct answer: 1. AUG

Explanation: initiation of protein synthesis can be studied as 4 steps Recognition stepSFormation of pre-initiation complex i.e.binding of ternary complex of met-tRNA Binging of mRNA to the pre-initiation complex to form 43s initiation complexThe 43s initiation complex is combined with the 60s ribosomal subunit to form 80s initiation complexRef: DM Vasudevan, 7th edition, page no: 600